The following regarding regarding colostomy are true except:
1. A colostomy is an artificial opening made in large bowel to divert the faeces to the exterior
2. Temporary colostomy is established to defunction and anastomosis
3. Permanent colostomy is formed after the resection of rectum by the abdominoperineal technique
4. Double barreled colostomy is commonly done now-a-days

Correct answer: 4. Double barreled colostomy is commonly done now-a-days

Explanation: Bailey says " Double-barreled colostomy was designed so that it could be closed by crushing the intervening 'spur' using an enterotome or a stapling device. It is rarely used now, but occasionally the colon is divided so that both ends can be brought to the surface seperately, ensuring that the distal segment is completely defunctioned" Stomas: May be colostomy or ileostomy May be temporary or permanent Temporary or defunctioning stomas are usually fashioned as loop stomas An ileostomy is spouted; a colostomy is flush Ileostomy effluent is usually liquid whereas colostomy effluent is usually solid Ileostomy patients are more likely to develop fluid & electrolyte problems An ileostomy is usually sited in the right iliac fossa A temporary colostomy may be transverse and sited in the right upper quadrant End-colostomy is usually sited in the left-iliac fossa All patients should be counseled by a stoma care nurse before operation Ref: Bailey 27th edition Pgno: 1277